Propranolol is contraindicated in diabetes mellitus because it:
1. Causes hyperglycemia
2. Causes seizures
3. Masks the hypoglycemic symptoms
4. Causes hypotension

Correct answer: 3. Masks the hypoglycemic symptoms